Skin stigmata of Liver disease include all of the following, Except
1. Parmar Erythema
2. Paper money skin
3. Drumstick fingers
4. Subcutaneous nodules

Correct answer: 4. Subcutaneous nodules

Explanation: Answer is D (Subcutaneous nodules): Subcutaneous nodules are not recognized as an established stigmata of Liver disease. Parmar Erythema, Paper-money skin and Drum stick fingers are all established cutaneous stigma of chronic liver disease. Drum-Stick fingers can be observed in chronic liver patients with a hepatopulmonary syndromes. These changes are due to increased blood supply to the distal phalanges and the opening of av anastamoses with relative hypoxia to tissues as well as more extensive formation of connective tissue between nail and bone.